Temperature and timing in autoclaving -
1. 121degC for 15 minutes
2. 160degC for 45 minutes
3. 190degC for 1.5 minutes
4. 134degC for 15 minutes

Correct answer: 1. 121degC for 15 minutes

Explanation: Ans. is 'a' i.e., 121degC for 15 minutes MethodTemperature (degC)Holding time (in minutes)Autoclave12112613415103Hot air oven16017018019045187-5T5